Regarding hepatobiliary disease, which of the following statements is true?
1. Hepatitis B is the most common viral cause of cirrhosis worldwide
2. Fewer than 5% of patients with chronic hepatitis C will develop cirrhosis
3. In India, hepatitis B is transmitted primarily by the feco-oral route
4. Hepatitis C is a more frequent cause for fulminant hepatitis than hepatitis B infection

Correct answer: 1. Hepatitis B is the most common viral cause of cirrhosis worldwide

Explanation: Hepatitis B is a potentially life-threatening liver infection caused by the hepatitis B virus (HBV). It is a major global health problem. It can cause chronic infection and puts people at high risk of death from cirrhosis and liver cancer. Ref Davidson 23rd edition pg 868